How to differentiate between staphylococci and micrococci?
1. Catalase test
2. Modified Oxidase test
3. Gram staining
4. AFS

Correct answer: 2. Modified Oxidase test

Explanation: Micrococci:Micrococci are gram-positive cocci which occur mostly in pairs, tetrads or irregular clusters. They are catalase and modified oxidase positive and aerobic. They are ordinarily non-pathogenic. The resemble Staphylococci, but in general, they are large in size and tetrads. The common laboratory test used to differentiate between micrococci and staphylococci is modified oxidase test.Ref: Ananthanarayan 9th edition, p206